Excretory urography is contraindicated in:
1. Renal artery hypertension
2. Single kidney
3. Multiple myeloma
4. Trauma

Correct answer: 3. Multiple myeloma

Explanation: Ans. C: Multiple myelomaContraindication to excretory/intravenous urography are 1) iodine sensitivity or previous reaction to contrast media, 2) pregnancy, 3) intractable cardiac or renal failure and 4) multiple myeloma